Following constitute dietary fibres except :
1. Pectin
2. Cellulose
3. Hemicellulose
4. Riboflavin

Correct answer: 4. Riboflavin

Explanation: D i.e. Riboflavin